Renal failure in patients with septic shock occurs primarily from:
1. Acute tubular mecrosis
2. Acute cortical necrosis
3. Acute clomerulonephritis
4. Acute papillary damage

Correct answer: 1. Acute tubular mecrosis

Explanation: Answer is A (Acute Tubular necrosis) Most common cause of renal failure in patients with septic shock is Acute tubular necrosis Most renal failure is due to acute tubular necrosis induced by hypotension or capillary injury although some patients also have glomerulonephritis, renal cortical necrosis or interstitial nephritis-Harrison's 17th/1699